Acute renal failure occurs following aortic angiography in a 72-year-old man. His weight has been rising, his lungs show rales at both bases, and he is dyspneic. His fractional excretion of sodium is greater than 1. He has eosinophilia on his peripheral smear, an elevated erythrocyte sedimentation rate, and proteinuria with microscopic hematuria. Which of the following is the most likely cause of his renal failure?
1. Hypovolemia
2. Renal artery cholesterol embolism
3. Acute tubular necrosis
4. Cardiogenic shock

Correct answer: 2. Renal artery cholesterol embolism

Explanation: Cholesterol atheroembolism is a known complication of angiography or aortic manipulation during surgery and can result in lower extremity ischemia, acute myocardial infarction, ischemic bowel, and acute or chronic renal failure. Eosinophilia is strongly suggestive of cholesterol atheroembolization, and other laboratory findings include microscopic hematuria or proteinuria and elevated inflammatory mediators such as erythrocyte sedimentation rate. A fractional excretion of sodium (FENa) of greater than 1 suggests a renal cause of acute renal failure as opposed to prerenal causes such as hypovolemia or cardiogenic shock. Thoracic aortic dissections can result in acute renal failure if they involve the renal arteries and may present with hematuria and elevations in BUN and creatinine. However, aortic dissections are typically associated with significant chest pain.